All of the following are causes of night blindness except
1. Oguchi
2. Vitamin A deficiency
3. High myopia
4. Devics disease

Correct answer: 4. Devics disease

Explanation: Devics disease is optic neuritis with myelitis It is also called neuromyelitis optica Refer Khurana 6th edition page number 329